All of the following are significant risk factors for the development of colonic carcinoma in an adenomatous polyp, EXCEPT:
1. Atypia
2. Size > 1cm
3. Pedunculated polyp
4. Villous histology

Correct answer: 3. Pedunculated polyp

Explanation: Adenomatous polyps can be pedunculated (stalked) or sessile (flat based). Pedunculated polyp in the colon is not associated with an increased risk of colorectal cancer. Adenomatous polyps are found in about 25% of the population by age of 50 and the prevalence increases with age. It is most common in men than women. Among the types of polyps in colon adenomatous polyps are at increased (98%) risk of development of cancer. Ref Guidelines for The Evaluation of Virtual Terminal Implementations By Carol A. Edgar, Page 8; Oxford Desk Reference Oncology By Thankamma V. Ajithkuma, Page 226.